Example of electrical synapse:
1. Tight junction
2. Gap junctions
3. Anchoring junction
4. Neuromuscular junction

Correct answer: 2. Gap junctions

Explanation: (Refer: Ganong’s Review of Medical Physiology, 24th edition, pg no: 43-44)
Intercellular junctions

Connects the cell membranes of the neighboring cells also known as junctional complexes